Tidal volume excessive load is prevented by activation of which of the following receptors:
1. J receptor
2. Thoracic muscle spindle
3. Bronchial stretch receptors
4. Arterial baroreceptor

Correct answer: 3. Bronchial stretch receptors

Explanation: C i.e. Bronchial stretch